Cantlie's line is associated with:
1. Liver
2. Heart
3. Kidney
4. Stomach

Correct answer: 1. Liver

Explanation: The liver is grossly separated into the right and left lobes by the plane from the gallbladder fossa to the inferior vena cava (IVC), known as Cantlie's line. Ref: Schwartz's principle of surgery 9th edition, chapter 31.